Surface Immunoglobulin is found in which cell?'
1. T-cell
2. B-cell
3. NK cell
4. Plasma cells

Correct answer: 2. B-cell

Explanation: Ans is 'b' i.e. B-cell o B cells recognize antigen via the B-cell antigen receptor complex. Ig M and Ig D, present on the surface of all naive B cells, constitute the antigen binding component of B-cell receptor complexo After antigenic stimulation, B cells form plasma cells that secret immunoglobulin.